MalloryY hyaline is seen in
1. Alcoholic liver disease
2. Hepatocellular carcinoma
3. Wilson's disease
4. All of the above

Correct answer: 4. All of the above

Explanation: Mallory bodies or alcoholic hyalin: These are eosinophilic, intracytoplasmic inclusions seen in perinuclear location within swollen and ballooned hepatocytes. They represent aggregates of cytoskeletal intermediate filaments (prekeratin). They can be best visualised with connective tissue stains like Masson's trichrome and chromophobe aniline blue, or by the use of immunoperoxidase methods. Mallory bodies are highly suggestive of, but not specific for, alcoholic hepatitis Mallory bodies are also found in certain other conditions such as: primary biliary cirrhosis, Indian childhood cirrhosis, cholestatic syndromes, Wilson's disease, intestinal bypass surgery, focal nodular hyperplasia and hepatocellular carcinoma. TEXT BOOK OF HARDH MOHAN SIXTH EDITION PAGE.621